All of the following are features of Monoclonal Gammopathy of Undetermined Significance (MGUS), EXCEPT:
1. M protein in serum
2. Bone marrow clonal plasma cells >10%
3. No evidence of other B cell proliferative disorders
4. No myeloma-related organ or tissue impairment

Correct answer: 2. Bone marrow clonal plasma cells >10%

Explanation: Bone marrow plasma cells are less than 10 % in MGUS. Ref:Harrisons Principles of Internal Medicine, 18th Edition, Page 940